Vein opening directly into right atrium:
1. Anterior cardiac vein
2. Middle cardiac vein
3. Great cardiac vein
4. Small cardiac vein

Correct answer: 1. Anterior cardiac vein

Explanation: Anterior cardiac veinThe anterior cardiac veins (or anterior veins of right ventricle), comprising three or four small vessels which collect blood from the front of the right ventricle and open into the right atrium.Unlike most cardiac veins, it does not end in the coronary sinus.Instead, these veins drain directly into the anterior wall of the right atrium.